Bile acids are synthesized from:
1. Arachidonic acid
2. Linoleic acid
3. Linolenic acid
4. Acetyl CoA

Correct answer: 4. Acetyl CoA

Explanation: Bile acids are synthesized from cholesterol (by modification of side chain), which is synthesized from Acetyl CoA. Bile acids consists of Deoxycholic acid, Lithocholic acid and Chenodeoxycholic acid. Bile acids are more appropriately called bile salts Present in deprotonated form Made in liver (RLE is 7-a-Hydroxylase) Stored in gall bladder, Emulsify the dietary fat which increases the surface area.